Insulin of choice in a patient with Diabetic ketoacidosis?
1. Lispro
2. Deterimer
3. Aspart
4. Regular Insulin

Correct answer: 4. Regular Insulin

Explanation: Regular Insulin is short acting formulation given intravenously in cases of Diabetic ketoacidosis.